Turner syndrome -
1. 45XO
2. 46XO
3. 47XXX
4. Trisomy 21

Correct answer: 1. 45XO

Explanation: Ans. is 'a' i.e., 45XOTrisomy 13- Patau syndromeTrisomy 18- Edward syndromeTrisomy 21- Down syndromeXO- Turner syndromeXXY- Klinefelter syndrome